'Road to health card' top line is -
1. 3rd percentile
2. 50th percentile
3. 80th percentile
4. 97th percentile

Correct answer: 2. 50th percentile

Explanation: Ans. is 'b' i.e., 50th percentile The WHO growth chart o The WHO growth chart has two reference curves. o The upper reference curve represent median (50"/e percentile) for boys and lower reference curve the 3rd percentile for girls. o The space between the two growth curves (weight channel) has been called the "road to health". o This will include the zone of normality for most population, i.e., the weight of 95% of normal healthy children will fall within this area (road to health or weight channel). If the child is growing normally, its growth line will be above the 3rd percentile and will run paralle to the road to health curves. Flattening or falling of the child's weight curve signals growth failure, which is the earliest sign of PEM and may precede clinical signs by weeks or even months. The objective in child care is to keep the child above the 3rd percentile.